Microtubule formation is inhibited by:
1. Taxol
2. Vincristine
3. Etoposide
4. Irinotectan

Correct answer: 2. Vincristine

Explanation: Vincristine